Which of the following tongue muscle is also known as the "safety muscle of tongue"?
1. Palatoglossus
2. Genioglossus
3. Styloglossus
4. Hyoglossus

Correct answer: 2. Genioglossus

Explanation: Genioglossus is called as safety muscle of tongue because if it is paralyzed the tongue will fall back on oropharynx and blck the air passage .during anesthesia, the tongue is pulled forward to clear the air passage. REFER BDC sixth edition vol 3 page number 268.